A 60 year old man with progressive dementia of recent onset presents with intermittent irregular jerky movemets. EEG shows periodic sharp biphasic waves. The most likely diagnosis is -
1. Alzheimers's disease
2. Creutzfeldt Jakob disease
3. Lewy body dementia
4. Herpes simplex Encephalitis

Correct answer: 2. Creutzfeldt Jakob disease